According to Schilder mechanical objectives of cleaning and shaping are:
1. Canal should be continuously taper.
2. Canal should be prepared in multiple plane.
3. Apical construction should be as small as possible.
4. All of the above.

Correct answer: 4. All of the above.

Explanation: Mechanical objectives by (SCHILDER)
i) Canal should be continuously taper Funnel orifice →Apex.
ii) Canal should be prepared in multiple plane.
iii) Apical constriction should be as small as possible.